A baby assessed at 5 minutes after birth is found to be blue with irregular gasping respiration. Heart rate(HR) is 60 beats/min, and a grimace is seen with some flexion of extremities. The Apgar score for this newborn is _______
1. 0
2. 2
3. 3
4. 4

Correct answer: 4. 4

Explanation: In this baby: Color: Score 0 Heart rate, < 60 beats/min: score 1 Grimace: score 1 Some flexion of the extremities: score 1 Irregular respiration: Score 1 Thus total score is 4 APGAR SCORING SYSTEM: Appearance 0 points 1 point 2 points Appearance (Skin color) Blue/Pale Pink body, blue extremities Pink Pulse Absent <100 BPM >100 BPM Grimace (reflex irritability) No response Minimal response to stimulation Cough/sneeze when stimualated Activity Floppy Some flexion Well flexed Respiratory efforts Absent Slow and irregular Strong cry At 1 minute and 5 minutes after birth of the infant, the 5 objective signs listed here are evaluated and each is given a score of 0,1 or 2 A total score of 10 indicates that the infant is in the best possible condition An infant with a score of 0-3 requires immediate resuscitation Ref: Nelson textbook of pediatrics 21st edition pgno: 872